Recent noble prize for -
1. RNA i
2. Lipoxin
3. T beta transcription factor
4. Mitochondrial DNA

Correct answer: 1. RNA i

Explanation: Ans is 'a' i.e. RNA i Nobel laureates and their discoveries 2009 Elizabeth H. Blackburn, Carol W. Greider and Jack W Szostak for the discovery of how chromosomes are protected by telomeres and the enzyme telomerase. 2008 Harald Zur Hausen For his discovery of human papilloma viruses causing cervical cancer and the other half jointly to Francoise Barre-Sinoussi, Luc Montagnier For their discovery of human immunodeficiency virus. 2007 Mario R. Capecchi, Sir Main J. Evans, and Oliver Smithies For their discoveries of principles for introducing specific gene modifications in mice by the use of embryonic stem cells. 2006 Andrew Z. Fire, and Craig C. Mello For their discovery of RNA inference-gene silencing by double-stranded RNA. 2005 Barry J. Marshall, and J. Robin Warren For their discovery of the bacterium helicobacter pylori and its role in gastritis and peptic ulcer disease.